The cyst with highest recurrence rate is:
1. Keratocyst
2. Periapical cyst
3. Nasoalveolar cyst
4. Globulornaxillary cyst

Correct answer: 1. Keratocyst